A 36 year old male with an asymptomatic swelling in the body of the mandible with radiographic features of radiolucency with radiopaque flecks is suffering from
1. Odontogenic keratocyst
2. Calcifying eipthelial odontogenic tumor (CEOT)
3. Ameloblastoma
4. None of the above

Correct answer: 2. Calcifying eipthelial odontogenic tumor (CEOT)